Features of Laurence-Moon-Bardet-Biedl syndrome include all of the following EXCEPT:
1. Hypogonadism
2. Obesity
3. Polydactyly
4. Cataract

Correct answer: 4. Cataract

Explanation: Laurence-Moon-Bardet-Biedel Syndrome: -Autosomal recessive disorder of hypogonadotropic hypogonadism -characterised by Intellectual disability Obesity Polydactyly Retinitis pigmentosa Hypogonadism - delayed puberty